E. B. Virus causes all EXCEPT -
1. Infectious mononucleosis
2. Nasopharyngeal carcinoma
3. Burkitt's Lymphoma
4. Carcinoma cervix

Correct answer: 4. Carcinoma cervix

Explanation: EB virus infection leads to Infectious mononucleosis, Burkitt's lymphoma , Nasopharyngeal carcinoma in persons of Chinese origin Lymphoma in immunodeficient persons such as AIDS. REF:ANATHANARAYAN AND PANIKER'S TEXTBOOK OF MICROBIOLOGY 8TH EDITION PAGE NO:475